What is not true about the use of intranasal steroids in nasal polyposis?
1. Reduce recurrence
2. Reduce obstruction
3. Effective in eosinophilically predominant polyp only
4. May cause epistaxis

Correct answer: 3. Effective in eosinophilically predominant polyp only

Explanation: A short course of steroids may prove useful in case of people who cannot tolerate antihistamines and in those with asthma and polypoidal nasal mucosa. They may also be used to prevent the recurrence after surgery. Contraindicated in hypertension, tuberculosis, diabetes and pregnancy. Ref - PL DHINGRA diseases of ear nose and throat, 6th edition, page no 173